To prevent keratoconus what is used:
1. Antibiotics
2. Cycloplegics
3. Glasses
4. None

Correct answer: 4. None

Explanation: Ans. None